IPC code related to infanticide ?
1. 302
2. 312
3. 317
4. 318

Correct answer: 1. 302

Explanation: Ans. is 'a' i.e.,302Infanticide refers to killing a child after delivery, to till 1 year after birth.Infanticide in India is considered equivalent to murder and is tried under section 302 IPC. Law considers every child as born dead and therefore in a case of infanticide, it has to be proved that the child was born alive and was then killed.